Inferior longitudinal muscle:
1. Shortens the tongue mad makes the dorsum concave.
2. Shortens the tongue and makes the dorsum convex.
3. Narrow and elongates the tongue.
4. None.

Correct answer: 2. Shortens the tongue and makes the dorsum convex.